Which of the following are true about larynx:
1. Epiglottis cartilage is hyaline
2. Thyroid cartilage is elastic
3. Cricoid cartilage is elastic
4. Cuneiform & cornculate cartilage are elastic

Correct answer: 4. Cuneiform & cornculate cartilage are elastic

Explanation: D i.e. Cuneiform & cornculate cartilage are elastic Elastic cartilage is found in sites which are concerned either with production or reception of sound eg. auricle (pinna), external acoustic meatus (lateral part), auditory tube , epiglottis & two small laryngeal cartilage (corniculate & cuneiform)